The typical appearance of "spider leg" on excretory urography is seen in
1. Hydronephrosis
2. Polysystic kidney
3. Medullary sponge kidney
4. Renal cell carcinoma

Correct answer: 2. Polysystic kidney

Explanation: REPEAT QUESTION polycystic kidney, an autosomal dominant disease, common in females; excretory urogram shows 'spider leg' pattern - elongated and compressed renal pelvis with narrowed and stretched calyces over the cysts. ( Reference: emedicine.medscape.com/article/983281-workup )